WHO defines adolescent age between -
1. 10-19 years of age
2. 10-14 years of age
3. 10-25 yeasr of age
4. 9-14 years of age

Correct answer: 1. 10-19 years of age

Explanation: The term adolescent has been defined as including those aged between 10 and 19 and youth as between 15 and 24 ,and young people are those from 10 to 24 years.Adolesence is the period of true physical,psychological and social maturing from childhood to adulthood Parks textbook of preventive and social medicine.K Park. Edition 23.Pg no: 593